Which of the following is used in the treatment of thyroid malignancy.
1. 131
I
2. 125
I
3. 99
Tc
4. 32
p

Correct answer: 1. 131
I

Explanation: 131I is used in treatment of thyroid cancer.